Persistent primary hyperplastic vitreous is associated with -
1. Patau syndrome
2. Edward syndrome
3. Trisomy 14
4. Downs syndrome

Correct answer: 1. Patau syndrome

Explanation: Persistent hyperplastic primary vitreous (PHPV), also known as Persistent Fetal Vasculature (PFV), is a rare congenital developmental anomaly of the eye that results following failure of the embryological, primary vitreous and hyaloid vasculature to regress seen in Trisomy 13 -patau syndrome,Norrie disease,Walker-warburg syndrome.